Major current for depolarization in Purkinje fiber is of:
1. Na+
2. Ca++
3. K+
4. Cl-

Correct answer: 1. Na+

Explanation: Purkinje fiber is a fast-response type or rapidly depolarizing fiber. The rapid depolarization is due a rapid influx of Na+ through the fast Na+ channels. Major current for depolarization in pacemaker cells is due to Ca++